Biceps femoris does which of the following function?
1. Adduction of knee
2. Flexion of knee
3. Extension of knee
4. Abduction of knee

Correct answer: 2. Flexion of knee

Explanation: Ans. B Flexion of kneeRef: Netters Clinical Anatomy, 3rd ed. pg. 288 1* Biceps femoris is present in posterior compartment of(r) thigh and forms hamstrings. It is responsible for flexion of knee.* The other hamstrings are semitendinosus and semimembranosus. All these muscles originate from the ischial tuberosity and are innervated by tibial part of sciatic nerve (L5, S1 and S2).